Not a indication for admission in pneumonia-
1. Fever of 39 oC
2. Cyanosis
3. Chest reaction
4. Not feeding well

Correct answer: 1. Fever of 39 oC

Explanation: Park's texbook of Preventive and Social Medicine 23rd edition Page no : 170 Danger signs are Not able to drink Convulsions, abnormally sleepy or difficult to wake Stridor in calm child Severe malnutrition Chest indrawing Fast breathing